Trauma from occlusion causes all except:
1. Leads to marginal gingivitis
2. Reversible in nature
3. Does not cause pocket formation
4. Alveolar crest height might be reduced

Correct answer: 1. Leads to marginal gingivitis

Explanation: Clinical features of TFO 

Mobility (progressive) 
Pain on chewing or percussion 
Fremitus 
Occlusal prematurities/discrepancies 
Wear facets in the presence of other clinical indicators 
Tooth migration 
Chipped or fractured tooth (teeth) 
Thermal sensitivity 

Key notes :
TFO hardly affects the gingival soft tissues.